All of the following are true about Krukenberg's tumor except :
1. Has a rough surface
2. Shape of ovary is maintained
3. Usually bilateral
4. Arises usually form stomach carcinom

Correct answer: 1. Has a rough surface

Explanation: Ans. is a i.e. Has a rough surface Krukenberg tumour : Krukenberg tumour by definition represent carcinoma of stomach metastasised to ovary. But the eponym is commonly used to denote any gastric carier metastatic to ovary Tumour arise by retrograde lymphatic spreaddeg i.e. carcinoma cells pass from the stomach to the superior gastric lymphnode which also receive lymphatics from ovary. Characteristics of Krukenberg Tumour : Always bilateraldeg Have smooth surfacedeg No tendency to form adhesions Freely mobile No infilteration through the capsule. Histologically tumour has signet ring cells in the background of myxomatous stroma. They retain the shape of normal ovary.deg Have waxy consistency.deg First Type They are metastatic tumors from Intestine, Gall bladder, pancreas, corpus, and cervix. They are most commonly bilateral. They have irregular surface The method of ovarian infiltration is by surface implantation or retrograde implantation Second Type (Krukenberg Tumour) They are metastatic tumors from stomach (70%), large bowel (15%) and breast (6%). They are always bilateral.deg They have a smooth surface which may be slightly bossed. Always arise by retrograde lymphatic spread. Extra edge : Immunochemistry can help to distinguish between a primary mucinous ovarian and a metastatic colon Ovarian tumour is expected to stain positive for cytokeratin 7(CK7) and negative for CK 20. In contrast a metastasis lesion from a primary mucinous adenocarcinoma of colon is likely to show reverse pattern.